True about isoenzymes is/are
1. Different km value
2. Consist of multimeric complex
3. Have different physical properties
4. All of these

Correct answer: 4. All of these

Explanation: Consist of multimeric complex & `e' i.e., Have different physical properties

isozymes are the physically distinct forms of the same enzymes that catalyze the same reaction, and differ from each other structurally, electrophoretically and immunologically.
They differ in their physical properties because of genetically determined difference in amino acid sequence.
They are separated by electrophoresis as they have different electrophoretic mobility.
They have different Kin value.
Isoenzyme of an oligomeric enzyme process differ in combination of its peptide protomer.